Investigation of choice to see gall bladder -
1. CT
2. USG
3. PlainXray
4. Oral cholecytogram

Correct answer: 2. USG

Explanation: Ans. is 'b' i.e., USGo Investigations of gall bladder disease are: -Ultrasonography : - This is the investigation of choice for the detection of gallstones, and obstructive jaundice. USG show's echogenic focus with posterior acoustic shadowing. The most specific sign of a contracted, stone filled gallbladder is a hypoechoic wrall superficial to a curvilinear echo from the stones and an acoustic shadow'-:- WES triad (Wall, Echo, Shadow) or the "Double arc shadow sign".Planex-ray: - Only 10% of gall stones are radio-opaque. Therefore, plane x-ray is of limited value.Oral cholecystogram (OCG) : - Dye used for OCG is ipanoic acid. Filling defect, due to stones, will be seen within the gall bladder.Cholangiogram (outline of common bile duct) Intravenous injection of biligrafm is given and frequent radiograph are taken as the liver excretes the biligrafin. Impacted stone in CBD classically shows cresentic shadow or meniscus sign on cholangiogram.Percutaneous transhepatic cholangiography (PTC) : - This is a useful procedure in obstructive lesions. It is usually done as an immediate preoperative investigation. PTC can be used for drainage, cholangioplasty and stent placement.